All are required for formation of estradiol except
1. Lyase
2. 11b-hydrolase
3. Aromatase
4. Hydroxysteroid dehydrogenase

Correct answer: 2. 11b-hydrolase

Explanation: 11b hydroxylase is not required for estradiol synthesis. Ref: Guyton and Hall 13th edition Pgno: 967